Filigree burn occur in
1. Lightning
2. Electrocution
3. Vitriolage
4. Infanticide

Correct answer: 1. Lightning

Explanation: (A) Lightning # Lightning strike - 1000 million volts or more causes Arborescent or Filigree burns or Lichtenberg's flowers which are superficial, thin, irregular and tortuous markings on the skin resembling the branches of a tree.